A patient with suspected poisoning has brownish oral mucosa and tongue, constricted pupil and greenish brown urine, poisoning is with
1. Carbolic acid
2. Morphine
3. H2504
4. Cannabis

Correct answer: 1. Carbolic acid

Explanation: A i.e. Carbolic acid